What is the impact on fetus in case of use of Indomethacin in utero in third trimester?
1. Patent ductus arteriosus
2. Early closure of ductus arteriosus
3. Ventricular septal defect
4. Atrial septal defect

Correct answer: 2. Early closure of ductus arteriosus

Explanation: Prostaglandins helps to keep ductus arteriosus open. Indomethacin inhibits prostaglandins levels | So, closure of ductus arteriosus | DOC for PDA